Best method to monitor intracranial pressure is -
1. Intraventricular catheter
2. Subarachnoid bolt
3. Intraparenchymal catheter
4. Epidural cathetar

Correct answer: 1. Intraventricular catheter